All of the following are associated with increased risk of atherosclerotic plaque formation except
1. Apo E mutation
2. Oxidized LDL
3. Increased homocysteine
4. Increased Alpha 2 macroglobulin

Correct answer: 4. Increased Alpha 2 macroglobulin

Explanation: Risk Factors for Cardiovascular Disease Class 1: Modifiable risk factors, Interventions have been proved to lower CAD risk. 1. Cigarette smoking 2. High total cholesterol 3. High LDL cholesterol 4. Low HDL cholesterol 5. High fat/cholesterol diet 6. Left ventricular hypertrophy (LVH) 7. Thrombogenic factors Class 2: Modifiable risk factors, Interventions are likely to lower CAD risk. 8. Lipoprotein (a) or Lp(a) 9. Diabetes mellitus 10. Hypertension 11. Physical inactivity 12. Obesity 13. High triglycerides 14. High homocysteine 15. Increased high-sensitivity-CRP (hs-CRP) 16. Stress Class 3: Nonmodifiable risk factors. 17. Age 18. Male gender 19. Family history of CAD Alpha-2-Macroglobulin (AMG) AMG is a tetrameric protein with a molecular weight of 725 kD. It is the major component of alpha-2 globulins. It is synthesized by hepatocytes and macrophages. AMG inactivates all proteases and is important in vivo anti-coagulant. AMG is the carrier of many growth factors such as platelet-derived growth factor (PDGF). Normal serum level is 130-300 mg/dl. Its concentration is markedly increased (up to 2-3 g/dl) in Nephrotic syndrome, where other proteins are lost through urine.Ref: DM Vasudevan - Textbook of Biochemistry, 8th edition, page no: 294, 335